All of the following calcify except –
1. Medulloblastoma
2. Sturge weber syndrome
3. Meningioma
4. Ependymoma

Correct answer: 1. Medulloblastoma

Explanation: Calcification is very rare in medulloblastoma.